Joint between two Ends of bone covered by cartilage
just like one epiphyseal plate growing at two ends, is called
1. Synchondrosis
2. Synarthrosis
3. Syndesmosis
4. Synostosis

Correct answer: 1. Synchondrosis